Flexor of hip joints are all except-
1. Psoas major
2. Sartorius
3. Gluteus maximus
4. Rectus femoris

Correct answer: 3. Gluteus maximus

Explanation: Ans. C. Gluteus maximusMUSCLES PRODUCING MOVEMENTS AT HIP JOINT-a. Flexion- psoas major and iliacus, assisted by pectineus, rectus femoris and sartorius. The adductors, particularly adductor longus, also assist, especially in early flexion following full extension.b. Extension - gluteus maximus and the hamstring (posterior femoral) muscles.c. Abduction - gluteus medius and minimus, assisted by tensor fasciae latae and sartorius; it is limited by adductor tension, the pubofemoral ligament and the medial band of the iliofemoral ligament.d. Adduction -adductors longus, brevis and magnus, assisted by pectineus and gracilis; it is limited when the moving limb contacts the contralateral limb.e. Medial rotation - tensor fasciae latae and the anterior fibres of gluteus minimus and medius.f. Lateral rotation - is produced by the obturator muscles, the gemelli and quadratus femoris, assisted by piriformis, gluteus maximus and sartorius. It is a powerful action which is limited by tension in the medial rotators and the lateral band of the iliofemoral ligament.